A 12 year old male patient complains of pain in  upper front teeth region and gives a history of fall while playing 30 minutes ago. Intra-oral examination reveals intrusion of maxillary right central incisor by 8 mm. What is the most appropriate treatment for this patient?
1. Allow the tooth to erupt without intervention.
2. Reposition surgically and stabilize for 4 to 8 weeks  by means of a flexible splint with endodontic intervention.
3. If no movement is evident after 2 to 4 weeks, the tooth may be repositioned either orthodontically  or  surgically with endodontic intervention.
4. If no movement is evident after 2 to 4 weeks, the tooth may be repositioned either orthodontically  or  surgically without endodontic intervention.

Correct answer: 2. Reposition surgically and stabilize for 4 to 8 weeks  by means of a flexible splint with endodontic intervention.

Explanation: The treatment for a permanent tooth with a closed root end, and intruded less than 3 mm, is to allow the tooth to erupt without intervention. If no movement is evident after 2 to 4 weeks, the tooth may be repositioned either orthodontically  or  surgically  before  ankylosis  can  take place. If the tooth is intruded 7 mm or more, the tooth is repositioned surgically and stabilized for 4 to 8 weeks by means of a flexible splint. In most instances the pulp will become necrotic with intrusive injuries in teeth with complete root formation. Root canal treatment should be initiated, with calcium hydroxide as a temporary canal- filling material, 2 to 3 weeks after stabilization. 
The treatment for an intruded permanent tooth with incomplete  root  formation  is  to  allow  it  to  erupt  spontaneously. If no movement is seen within a few weeks, orthodontic  repositioning  should  begin.  If  the  tooth  is intruded 7 mm or more, the tooth can be repositioned surgically  and  stabilized  by  means  of  a  flexible  splint. Endodontic therapy is often required, however, and the tooth  should  be  monitored  closely  while  a  decision  on endodontic therapy is pending.